A farmer was brought to the casualty with restlessness & agitation. Examination shows temp. 103° F, flushed face, pupils dilated and fixed. The diagnosis is -
1. Datura poisoning
2. Organophosphorus poisoning
3. Diazepam poisoning
4. Opium poisoning

Correct answer: 1. Datura poisoning

Explanation: Among the given options, only datura causes dilatation of pupil. All the other features given in question are also seen in datura poisoning.